Site of b-oxidation is -
1. Cytosol
2. Mitochondria
3. Lysosome
4. Golgi apparatus

Correct answer: 2. Mitochondria

Explanation: Ans. is 'b' i.e.. Mitochondria SiteCycle/ReactionsCytosol QGlycolysis (EMP Cycle), HMP shunt, fatty acid synthesis glycogenosis, glvcogenolysis. Bile acid'Salt synthesis, cholesterol synthesisMitochondria QKreb's cycle (citric acid cycle), Electron transport chain (ECT) Q, Fatty acid oxidation, KetogenesisBoth cvtosoi and mitochondriaGluconeogenesis, Urea cyclePeroxisomesOxidation of very long chain fatty acidsSmooth endoplasmic reticulumTriglyceride synthesis. Steroid synthesis, cholesterol synthesis, phospholipid synthesisRough endoplasmic reticulum(ribosomes)Protein synthesisNucleusDNA and RNA synthesis